Large, irregular and friable vegetations are seen in?
1. Rheumatic heart disease
2. Infective endocarditis
3. Libman-sacks endocarditis
4. Non-bacterial thrombotic endocarditis (NBTE)

Correct answer: 2. Infective endocarditis

Explanation: Large, irregular and friable deposits are seen in infective endocarditis. Hallmark of infective endocarditis Presence of friable, bulky and potentially destructive vegetation Containing fibrin, inflammatory cells and bacteria on the heart valves. DISEASE-INFECTIVE ENDOCARDITIS DISEASE- NBTE INFECTIVE ENDOCORDITIS. FEATURE -Vegetations are large, bulky, irregular, multiple, friable OTHER FEATURE- non sterile(associated with ring abscess) NON BACTERIAL THROMBOTIC ENDOCARDITIS (MARANTIC ENDOCARDITIS) FEATURE -Vegetations are small, warty friable. OTHER FEATURE- sterile COMPLICATION -embolisation is very common,(maximum chances) COMPLICATION embolisation is common SITE -Seen on valvular cusps SITE-Seen on line of closure. also seen in -cancers like m3 -aml,pancreatic cancer, deep vain thrombosis,trousseau syndrome DISAESE-SLE DISEASE-RHD -LIBMAN SACK'S ENDOCADITIS (LSE) FEATURE-vegetations are medium sized(small flat,verrucous, irregular OTHER FEATURE -sterile RHEUMATIC FEVER FEATURE-Vegetations are small, warty firm friable OTHER FEATURE -sterile SITE-on surface cusps(both surface may be involved ) SITE-along line of closure COMPLICATION - embolisation is uncommon COMPLICATION -embolisation is uncommon